Toxin production by corynebacterium diphtheriae is due to ?
1. Chromosomal mutation
2. Presence of plasmid
3. Lysogenic conversion
4. Transformation

Correct answer: 3. Lysogenic conversion